In pancreatic scanning radio-isotope used is
1. Se75
2. Cr51
3. I131
4. Tc99

Correct answer: 1. Se75

Explanation: se75 is used for pancreatic scanning Cr51 is used to label red blood cells for measurement of mass or volume I131 is used for treating hyperthyroidism and thyroid cancer I123 and Tc99 are used for thyroid scanning